Crown Height Space (CHS) for implant dentistry is measure from
1. prosthetic platform
2. junctional epithelium
3. crest of the bone
4. gingival margin

Correct answer: 3. crest of the bone